All of the following drugs are used in the treatment of metastatic breast cancer except:
1. Ixabepilone
2. Abemaciclib
3. Ribociclib
4. Sunitinib

Correct answer: 4. Sunitinib

Explanation: Ixabepilone is a semisynthetic epothilone B analog that functions as a microtubule inhibitor. it is approved for metastatic breast cancer in combination with the oral fluoropyrimidine capecitabine or as monotherapy. Abemaciclib & Ribociclib are cyclin dependent kinase inhibitors (CDKI) and are given orally in breast cancer. Sunitinibis a Tyrosine kinase inhibitor and is used mainly in GIST and RCC.